Topical sodium cromoglycate is used in treatment of:
1. Phlyctenular conjunctivitis
2. Vernal catarrh
3. Subconjunctival haemorrhage
4. Trachoma

Correct answer: 2. Vernal catarrh

Explanation: Ans. Vernal catarrh